In all of these pathways ATP is produced, EXCEPT:
1. Urea cycle
2. Electron transport chain
3. TCA cycle
4. Anaerobic glycolysis

Correct answer: 1. Urea cycle

Explanation: The urea cycle utilises 4 ATPs. 2 ATPs are needed to make carbamoyl phosphate, one is needed to make argininosuccinate and one is needed to restore AMP to ATP. Thus urea cycle does not produce ATP it only utilises ATP. The net yield of ATP from anaerobic glycolysis is 2. TCA cycle generate 3 NADH2, 2 FADH2 and 1 GTP. Hence, each TCA cycle yields 12 ATP molecules. As two acetyl CoA molecules are generated from each glucose this cycle occur twice yielding 24 ATP molecules. Complete oxidation of glucose glycolysis, pyruvate dehydrogenase, Krebs cycle, and the oxidative phosphorylation pathway yields 38 ATP. Since two ATPs were used during stage I reactions of glycolysis the net yield is 36 ATP. Ref: Textbook of Medical Biochemistry,3e By Dinesh Puri PAGE 175. Essentials of Biochemistry By Pankaja Naik Page 233.